True about HIV all except:
1. PML caused by JC virus
2. CNS lymphoma is the most common CNS tumor
3. CMV is the most common cause of retinitis
4. Most common cause of seizure is Candida

Correct answer: 4. Most common cause of seizure is Candida

Explanation: Ans. is 'd' i.e., Most common cause of seizure is Candida (Ref: Harrison, 18th/e, p. 1559, 1560)* Most common cause of seizure in the HIV infected patient is toxoplasma.* Progressive multifocal leukoencephalopathy (PML) is a common CNS lesion in HIV infected patients. It is caused by a papovavirus called JC virus.* Primary CNS lymphoma is one of the most common brain tumor in HIV infected patients.* CMV is the most common cause of retinitis in HIV infected patients.